The male sex hormone testosterone is produced by:
1. Sertoli cells
2. Epithelial cells
3. Interstitial cells of leydig
4. Primitive germ cells

Correct answer: 3. Interstitial cells of leydig